Delusion is the disorder of:
1. Thought
2. Perception
3. Always organic
4. Always psychiatric

Correct answer: 1. Thought

Explanation: Ans. a (Thought)DELUSION is false belief in something that is not true.Types of delusions are:1. Primary delusions (autochthonous delusions): Arise denovo, cannot be explained on the basis of other experiences or perceptions. They are characteristic of early schizophrenia.2. Secondary delusions: Commonest delusions seen in clinical practice and many psychological disorders.Commonly seen delusions in schizophrenia are:1. Delusion of grandeur2. Delusion of persecution3. Delusion of reference4. Delusion of control.